Which is not a component of APGAR Score -
1. Colour of the body
2. Muscle tone
3. Heart rate/minutes
4. Respiratory rate per minute

Correct answer: 4. Respiratory rate per minute

Explanation: Ans. is 'd' Respiratory rate/minute Breathing effort (not respiratory rate) is used in APGAR score.* APGAR Score is a quantitative method for assessing infants respiratory, circulatory and neurological status: APGAR Score 012* Respiratory effortNoneSlow irregularGood, crying* Heart rate (pulse)Absent<100> 100* Color of the body (Appearance)Blue or paleBody pink extremities bluePink* Muscle tone (Activity)FlaccidSome flexionActively moving extremity* Reflex stimulation (Grimace) or putting catheter in noseNo responseGrimaceCries, coughs or sneezes * Scoring for APGAR ScoreTotal score=10..Mnemonic for APGAR Score is -APGAR.No depression=7-10A - appearanceMild depression=4-6P - pulseSevere depression=0-3G - grimaceA - activityR - respiratory effort